Tertiary vitreous is represented by-
1. Zonular system
2. Ciliary body
3. Anterior uvea
4. Lens

Correct answer: 1. Zonular system

Explanation: Ans. is 'a' i.e., Zonular system 'Tertiary vitreous indicates the zonular system. The primary and secondary vitreous are stages in development of vitreous. However the tertiary vitreous i.e. the zonules are named so only because of their proximity to the vitreous'* The tertiary vitreous or the zonular system includes :# Orbiculoposterior fibers# Cilioequatorial fibers# Cilioposterior fibers# Orbiculoanterior fibers# Ciliovitreal fibers